Preferred cycloplegic drug in 1 year old child:
1. Atropine oral
2. Atropine eye ointment
3. Tropicamide
4. Phenylephrine

Correct answer: 2. Atropine eye ointment

Explanation: Ans. B. Atropine eye ointmentIn children, tone of eye muscle is very high. So in this case a strong cycloplegic is given which is atropine. It is given in the form of ointment as eye drops can get absorbed through naso-oral route and can cause hyperthermia. In adults, tropicamide is drug of choice as cycloplegic.